Position of wrist in cast of colle's fracture is:
1. Palmar deviation & pronation
2. Palmar deviation & supination
3. Dorsal deviation & pronation
4. Dorsal deviation & supination

Correct answer: 1. Palmar deviation & pronation

Explanation: A . i.e. Palmar deviation & pronation